Blood culture is positive in which infection of Staphylococcus aureus
1. TSS
2. SSSS
3. Infective endocarditis
4. Impetigo

Correct answer: 3. Infective endocarditis

Explanation: Infections caused by methicillin-sensitive S aureus, high-magnitude bacteremia (defined as >4 positive blood cultures ), and endocarditis.
The most important test is a blood culture used to identify bacteria in the bloodstream.